Tip diameter of a No. 245 bur is --- mm
1. 0.8
2. 1.2
3. 1
4. 1.5

Correct answer: 1. 0.8